Position of limb in posterior dislocation of hip ?
1. Flexion, abduction & external rotation
2. Flexion, adduction & internal rotation
3. Flexion, adduction & external rotation
4. Flexion, abduction & internal rotation

Correct answer: 2. Flexion, adduction & internal rotation

Explanation: Ans. is 'b' i.e., Flexion, adduction & internal rotation